All of the following statements about gynecomastia are true except:
1. Subcutaneous mastectomy is the initial treatment of choice
2. Seen in liver disease
3. There may be estrogen/testosterone imbalance
4. Can be drug induced

Correct answer: 1. Subcutaneous mastectomy is the initial treatment of choice

Explanation: Ans. (a) Subcutaneous mastectomy is the initial treatment of choice(Ref: Schwartz 10/e p505-506)Management:* Androgen deficiency - testosterone administration* Medication induced - Discontinue it.* Danazol is also used. But androgenic side effects are common,* Surgical treatment is done for cases not responding to above treatments :Local excision, liposuction or subcutaneous mastectomy.